All of the following organisms cause interstitial pneumonia except -
1. Pneumocystis carinii
2. Mycoplasma pneumoniae
3. Legionella pneumophilia
4. Haemophilus influenzae

Correct answer: 4. Haemophilus influenzae